True statement regarding Prevalence:
1. Cannot be used to determine the health needs of a community
2. Independent of incidence
3. Independent of duration
4. Measures all cases

Correct answer: 4. Measures all cases

Explanation: (Refer: K. Park’s Textbook of Preventive and Social medicine, 24th edition, pg no: 66, 67)

Incidence = New cases
Prevalence = New + Old cases
Prevalence = Incidence X Duration